Most common muscle involved in volkmamTs ischemic contracture is
1. Flexor- pollicis longus
2. Flexor-digitorum profunds
3. Flexor-indicis
4. Abductor pollicis

Correct answer: 2. Flexor-digitorum profunds

Explanation: Ans is 'b' i.e. flexor digitorum profundus The below given lines from Turek confirm the answer."Within a few fays pain and swelling su6sides and the voler aspect of the forearm develops a wooden induration. The resulting deformity represents contractual plus paralytic origin. Where it is mild, the deep flexor muscle are partially involved particularly the flexor digitorum profundus, producing a flexion contracture deformity of 1 or more finger."